65 year old Ramdeen presents with Abdominal pain and distension of abdomen. His stools were maroon coloured and he gives a past history of cerebrovascular accident and myocardial infarction. What will be the probable diagnosis ?
1. Ulcerative colitis
2. Acute mesentric ischemia
3. Irritable bowel syndrome
4. Chron's disease

Correct answer: 2. Acute mesentric ischemia

Explanation: Ans. is 'b' ie. Acute Mesenteric ischemia